Apical lung tumor causes
1. C/L horner syndrome
2. Post ganglionic fibres involved
3. 1deg neuron injury
4. Loss of sweating on same side of face

Correct answer: 4. Loss of sweating on same side of face

Explanation: Apical lung cancer/ Pancoast tumor causes - 2deg neuron injury (Preganglionic sympathetic fibres) I/L horner syndrome (Cervical sympathetic chain and ganglion involved) Loss of sweating on same side of face 1deg sympathetic neuron injury occurs in Wallenberg syndrome 2deg sympathetic neuron (preganglionic fibers) injury occurs in Apical lung cancer 3deg sympathetic neuron (postganglionic fibers) injury occurs in Internal carotid artery disection